Oral contraceptive pills can cause all except:
1. Mastalgia
2. Dysmenorrhea
3. Chloasma
4. Breakthrough bleeding

Correct answer: 2. Dysmenorrhea

Explanation: Side effects of OCPs are breakthrough bleeding, mastalgia, chloasma, carbohydrate intolerance, weight gain. No dysmennorhea is seen.(Ref.Essentials of medical pharmacology TD Tripathi 7th edition page no.325)